Which test can detect facial nerve palsy occurring due to the lesion at the outlet of stylomastoid foramen -
1. Deviation of angle of mouth towards opposite side
2. Loss of taste sensation in anterior 2/3 of tongue
3. Loss of sensation over right cheek
4. Deviation of tongue towards opposite side

Correct answer: 1. Deviation of angle of mouth towards opposite side

Explanation: Injury at stylomastoid foramen causes LMN palsy, so the face sags and drawn across to the opposite side.
Chorda tympani is spared at this level, taste sensation over anterior 2/3 of tongue is preserved.